Which of the following is an ionotropic receptor?
1. Muscarinic cholinergic receptor
2. Nicotinic cholinergic receptor
3. Glucocorticoid receptor
4. Insulin receptor

Correct answer: 2. Nicotinic cholinergic receptor

Explanation: Nicotinic cholinergic receptor- Ionotropic receptor Muscarinic cholinergic receptor- G-protein coupled receptor Glucocorticoid receptor- Intracellular receptor Insulin receptor- Enzymatic receptor